Commonest complication of immunosuppression is-
1. Malignancy
2. Graft rejection
3. Infection
4. Thrombocytopenia

Correct answer: 3. Infection